A 40-year-old HIV seropositive male presented to the dermatology OPD with multiple skin lesions which are multicentric along with lymphadenitis. What is the most likely cause of the above condition: -
1. HHV-3
2. HHV-8
3. HHV-6
4. HHV-5

Correct answer: 2. HHV-8

Explanation: This is a case of Kaposi's Sarcoma Most commonly caused by HHV type 8. Images shows the classical purple coloured skin lesions. HPE image shows low grade spindle cell neoplasm with numerous blood filled channels. Cutaneous lesions may occur at any location but typically are concentrated on the lower extremities and the head and neck region. Lesions may have macular, papular, nodular, or plaque like appearances. Nearly all lesions are palpable and nonpruritic Lesions may range in size from several millimeters to several centimeters in diameter. Lesions may assume a brown, pink, red, or violaceous color and may be difficult to distinguish in dark-skinned individuals. Lesions may be discrete or confluent and typically appear in a linear, symmetric distribution, following Langer lines.